Digestion of disaccharides occur at
1. Stomach
2. Mouth
3. Small intestine
4. Large intestine

Correct answer: 3. Small intestine

Explanation: The digestion of carbohydrates begins in the mouth. The salivary enzyme amylase begins the breakdown of food starches into maltose, a disaccharide. ... Maltase breaks down maltose into glucose. Other disaccharides, such as sucrose and lactose are broken down by sucrase and lactase, respectively Ref: guyton and hall textbook of medical physiology 12 edition page number:426,427,428